Which of the following helps in cell to cell adhesion?
1. Interleukins
2. Interferons
3. E-Cadherin
4. Matrix metallo proteinase

Correct answer: 3. E-Cadherin

Explanation: Ref: Robbin's Pathology, 9th ed. pg. 307* Normal epithelial cells are tightly glued to each other and the ECM by a variety of adhesion molecules.* E-cadherin, a cell surface protein, maintains intercellular adhesiveness serving to hold the cells together and relay signals between the cells.* In several epithelial tumors, including adenocarcinomas of the colon, stomach, and breast, E-cadherin function is lost.* TNF and IL-1 (interleukins) serve critical roles in leukocyte recruitment by promoting adhesion of leukocytes to endothelium and their migration through vessels.* Interferons are inflammatory cytokines.* Matrix metalloproteinase (MMP) regulate tumor invasion by:# Remodelling insoluble components of the basement membrane and interstitial matrix# By releasing ECM-sequestered growth factors.